White raised painless areas when on peeling exhibit
painful erythernatous areas in case of
1. Oral thrush
2. Perrphigus vulagaris
3. Leukoplakia
4. Erythroplakia

Correct answer: 1. Oral thrush